DNA sample for examination is taken in -
1. EDTA
2. Plain bulb
3. Formalin
4. None

Correct answer: 1. EDTA

Explanation: Ref: the essential of forensic medicine &toxicology-Dr.K.S. Narayana reddy 32nd edition pg no:444 LIQUID BLOOD: in case of paternity ,maternity disputes biological relationships etc or as control samples in criminal cases 2 to 5 ml of iv drawn blood should be collected in sterile leakproof preferably screw capped tubes containing heparin or EDTA ads anticoagulants.EDTA extracts metallic ions prevents clotting, inhibits enzymes in blood or microorganisms which may breakdown DNA during storrage